External auditory meatus is derived from which cleft?
1. 1
2. 2
3. 3
4. 4

Correct answer: 1. 1

Explanation: Cleft 1 forms external auditory meatus- surface ectoderm If the pharyngeal clefts are not obliterated by the 2nd pharyngeal arch, they can persist into adulthood as branchial (pharyngeal) cysts.